In which condition of the following you see the sine wave on a Cardiotocograph
1. Placental Insufficiency
2. Head Compression
3. Cord Compression
4. Fetal Anemia

Correct answer: 4. Fetal Anemia

Explanation: Sinusoidal pattern is seen in following conditions: 1. severe fetal anemia 2. fetal intracranial haemorrhage 3. severe fetal asphyxia